Which of the following drug is alpha–glucosidase inhibitor ?
1. Pioglitazone
2. Miglitol
3. Metformin
4. Nateglinide

Correct answer: 2. Miglitol